Nucleosides consist of?
1. sugar + phosphate
2. Sugar + uric acid
3. Base + sugar
4. Base + sugar + phosphate

Correct answer: 3. Base + sugar